The microscope used in microbiology -
1. Light microscope
2. Phase contrast microscope
3. Fluorescent microscope
4. All

Correct answer: 4. All

Explanation: Why is it necessary to use a microscope in microbiology?
The diameter of the smallest object that can be seen by the naked (unaided) eye is about 200U.
Most microorganisms are smaller than this and therefore, they should be sufficiently magnified before study.
For this purpose various types of microscopes are available.
Types of microscopes 
A) Visible light as a source of illumination

Bright-field microscope, commonly known as a light microscope or optical microscope.
Darkfield microscope
Phase contrast microscope

B) UV rays as a source of illumination

Fluorescence microscope

C) Electron beam forms image of specimen

Electron microscope

D) Surface forces form image of specimen

Atomic force microscope (AFM)